A young boy presented with a lesion over his right buttock, which had peripheral scaling with central scarring. The investigation of choice would be?
1. Tzanck smear
2. KOH preparation
3. Biopsy
4. Sabourad's agar

Correct answer: 3. Biopsy

Explanation: Central clearing: T. Corporis - KOH smear Central scarring: Lupus vulgaris - Biopsy Central crusting: Leishmaniasis - LT body demonstration